Subluxation of atlanto-occipital joint is seen in all except:
1. Gout
2. Odontoid dysgenesis
3. Rheumatoid arthritis
4. Ankylosing spondylitis

Correct answer: 1. Gout

Explanation: Gout very rarely causes craniovertebral anomalies CRANIOVERTEBRAL (CV) JUNCTION ANOMALIES: Subluxation of BASE OF SKULL + C1 + C2 Causes are: *